Which is the most common tumor leading to death in adults?
1. Lung cancer
2. Prostate cancer
3. Colorectal cancer
4. Leukemia

Correct answer: 1. Lung cancer

Explanation: Ans is 'a' i.e. Lung cancer o Lung cancer constitutes upto29% of aU cancer related deaths in males and 26% of all cancer related death in woman.